Type E adverse reaction is
1. Toxicity
2. Augmented effect
3. Teratogenesis
4. Withdrawal reaction

Correct answer: 4. Withdrawal reaction

Explanation: Ans. is 'd' i.e., Withdrawal reaction Type A (Augmented) reaction Excess of normal, predictable, dose related pharmacodynamic effect. May occur in everyone eg - Postural hypotension, hypoglycemia Type B (Bizzare) reaction Due to unusual attributes of the patient interaction with the drug. Not dose related Not a part of normal pharmacological effect of a drug. Occurs only in some people. eg - Idiosyncracy and drug allergy. Type C (chronic) reaction Due to long term exposure eg; Analgesic nephropathy, dyskinesia by levodopa, immunosuppression by corticosteroids. Type D (Delayed) effects eg; Carcinogenesis or teratogenesis. Type E (Ending of use) reaction 3 eg; withdrawl reactions with clonidine.